"Erythema chronicum migrans" is caused by -
1. B. burgdorferi
2. Toxoplasma gondii
3. Toxocara canis
4. Stronglyloides stercoralis

Correct answer: 1. B. burgdorferi